cAMP is second messenger for the following except:
1. TSH
2. Insulin
3. LH
4. FSH

Correct answer: 2. Insulin